Location Hasner's of valve?
1. Opening of nasolacrimal duct
2. Sphenoidal sinus opening
3. Frontal sinus opening
4. Ethmoidal sinus opening

Correct answer: 1. Opening of nasolacrimal duct

Explanation: Opening of nasolacrimal ductNasolacrimal duct opens into inferior meatus and is closed by a mucosal flap called Hasner's valve